All of the following statements about Prenatal steroids are true except
1. They cause 50% reduction in respiratory distress syndrome and intra-ventricular haemorrhage
2. These are advocated to mothers at risk of preterm delivery at 24-34 weeks of gestation
3. These can be safely administered to mothers with hypertension or diabetes.
4. These can be given even in the presence of choriomnionitis clinically

Correct answer: 4. These can be given even in the presence of choriomnionitis clinically

Explanation: Antenatal steroids(or antenatal corticosteroids) are medications given to pregnant women expecting preterm delivery. Steroids do not appear to increase the number of women who develop infection of the fetal membranes (chorioamnionitis) or of the womb (endometritis). A single course of betamethasone is recommended for pregnant women between 34 0/7 weeks and 36 6/7 weeks of gestation at risk of preterm birth within 7 days, and who have not received a previous course of antenatal corticosteroids. Reference: GHAI Essential pediatrics, 8th edition